Neuroglia responsible for phagocytosis is -
1. Fibrous Astrocytes
2. Protoplasmic Astrocytes
3. Oligodendrocytes
4. Microglia

Correct answer: 4. Microglia

Explanation: Microglial cells are the major phagocytic cells in C.N.S. At the time of injury microglial cells modify to form macrophages called Gitter cells.
Oligodendrocytes  → They secrete myelin sheath in CNS
Schwann cells    →  They secrete myelin sheath in the peripheral nervous system.